Sphincterotomy of sphincter of Oddi is performed at:
1. 3 o'clock position
2. 6 o'clock position
3. 9 o'clock position
4. 11 o'clock position

Correct answer: 4. 11 o'clock position

Explanation: TRANSDUODENAL SPHINCTEROPLASTY This cut is made superiorly (at the 11'o clock position) for 4 to 5 mm. The sphincter is incised at the 11-O'clock position to avoid injury to the pancreatic duct.